Malignancies that frequently metastasize to the jaws are
1. Lung
2. Prostate
3. Colorectal
4. All of the above

Correct answer: 4. All of the above